What is true about carcinoma bladder ?
1. Common in smokers
2. Commoner in females than that in males
3. Mostly adenocarcinoma
4. Pain in suprapubic region is the first symptom

Correct answer: 1. Common in smokers

Explanation: Ans. is 'a' i.e., Common in smokers Bladder cancer is 2.5 times more common in men than women.